Mode of transmisstion of Q fever -
1. Bite of infected louse
2. Bite of infected tick
3. Inhalation of aerosol
4. Bite of infected mice

Correct answer: 3. Inhalation of aerosol